Atropine-mechanism of action in organophosphate poisoning-
1. Reactivation of choline-esterase
2. Acts on central and peripheral post.ganglionic receptors
3. Acts on central and peripheral cholinergic receptors
4. Acts on peripheral cholinergic receptors only

Correct answer: 3. Acts on central and peripheral cholinergic receptors

Explanation: Ans. is 'c' i.e., Acts on central and peripheral cholinergic receptors o In organophosphate poisoning, atropine counteracts the peripheral muscarinic symptoms and at higher doses central effects as well. o Atropine does not reverse nicotinic action i.e., peripheral muscular paralysis.